Constriction of efferent arteriolar produces:
1. Biphasic response on GFR
2. Increased per-tubular oncotic pressure
3. Increased per-tubular absorption
4. All

Correct answer: 4. All

Explanation: Constriction of efferent arteriolar produces: Increased per-tubular oncotic pressure Decreased hydrostatic pressure Increased reabsorption of water In less than 3 fold increase in resistance GFR increases In more than 3 fold increase in resistance GFR decrease Ref:Guyton and Hall textbook of medical physiology 12th edition,page number:471-474